Which of the following is not a barrier method ?
1. Cenntchroman
2. Today
3. Barrier contraceptive
4. None

Correct answer: 1. Cenntchroman

Explanation: Centchroman is not a barrier method of contraception. Centchroman (sagely) is a synthetic non steroidal oral contraceptive. Reference:Park's textbook of preventive and social medicine,K.Park,23rd edition,page no:494.